Ram Devi presented with generalized edema, sweating, and flushing tachycardia and fever after bee sting. This is:
1. T cell mediated cytotoxicity
2. IgE mediated reaction
3. IgG mediated reaction
4. IgA mediated hypersensitivity reaction

Correct answer: 2. IgE mediated reaction

Explanation: Symptoms of generalized edema, sweating, flushing, tachycardia and fever following bee sting indicates anaphylactic type of reactionThis is a type I hypersensitivity reaction mediated by IgE (ref: Harrison's 18/e p2710)